Macula densa in kidney is located in relation to -
1. PCT
2. DCT
3. Afferent arteriole
4. Efferent arteriole

Correct answer: 2. DCT

Explanation: B i.e. DCT